Which of the following is a nutritional deficiency anemia?
1. Aplastic anemia
2. Sickle cell anemia
3. Megaloblastic anemia
4. Hemolytic anemia

Correct answer: 3. Megaloblastic anemia